Pontic design not indicated in anterior region:
1. Ovate pontic
2. Modified ridge lap pontic
3. Stein pontic
4. Spheroidal pontic

Correct answer: 4. Spheroidal pontic